Blue rubber bleb nevus syndrome is a
1. Mycotic infection
2. Malignant melanoma
3. Arterial malformation
4. Venous malformation

Correct answer: 4. Venous malformation

Explanation: (D) Venous malformation# BLUE RUBBER BLEB NEVUS SYNDROME (OR "BRBNS"or "Bean syndrome") is a rare disorder that consists mainly of abnormal blood vessels affecting the gastrointestinal tract.> BRBNS is a venous malformation, formerly, though incorrectly, thought to be related to the hemangioma. It carries significant potential for serious bleeding. Lesions are most commonly found on the skin and in the small intestine and distal large bowel. It usually presents soon after birth.> BRBNS used to be thought of as having no genetic inheritance however, in 1995 doctors discovered that information to be false, it has been suggested that it may represent a manifestation of familial venous malformation, and may be associated with TEK tyrosine kinase.